High or low fistula is ano is termed according to its internal opening present with reference to
1. Anal canal
2. Dentate line
3. Anorectal ring
4. Sacral promontary

Correct answer: 3. Anorectal ring

Explanation: The anorectal ring marks the junction between the rectum and the anal canal. It is formed by the joining of the puborectalis muscle. the deep external sphincter, conjoined longitudinal muscle and the highest part of the internal sphincter. The anorectal ring can be clearly felt digitally, especially on its posterior and lateral aspects. Ref: Bailey & Love's Short Practice of Surgery,E25,Page-1240